Sexually active male comes with complaints of recurrent ulcers over the glans which heals with hyperpigmentation, probable diagnosis is –
1. Aphathous ulcer
2. Fixed drug eruption
3. Herpes genitalis
4. Chlamydial infection

Correct answer: 2. Fixed drug eruption

Explanation: Information provided in this question are not complete with any of the given options.
Anyways, we have to choose one answer.
Informations in this question are :-


Sexually active male
Ulcers on genitalia
Recurrent lesion
Healing with hyperpigmentation


After reading sexually active male in the question, first thing usually comes in the mind is that it must be a STD.
But this is not the case in this question.
STD in this question are :-


Chlamydial infection → does not cause recurrent lesion and does not heal with hyperpigmentation.
Herpes → causes recurrent lesion but does not heal with hyperpigmentation.


So, both chlamydial infection and herpes genitalis are excluded.
Recurrent aphthous like ulceration on genitalia can occur in Bechet's syndrome, but these ulcers do not heal with hyperpigmentation and history of sexually active female has nothing to do with it.
Now we are left with one option, i.e.fixed drug eruption and all the given symptoms can occur in fixed drug eruption-


Genitalia is most common site
Ulcer is recurrent, occurs every time with the offending drug intake
Heals with hyperpigmentation.


However, in this question history of drug intake is not given, which is very important to suggest the diagnosis of fixed drug eruption.
But, I have no point to exclude fixed drug eruption, on the other hand other three options can be excluded easily.
So, best answer in this question is fixed drug eruption.